Features to differentiate parathyroid adenoma from hyperplasia would include which of the following ?
1. Presence of excess chief cells
2. High levels of parathormone
3. Infiltration of capsule
4. Identifying hyperplasia of all 4 glands at surgery in parathyroid hyperplasia.

Correct answer: 4. Identifying hyperplasia of all 4 glands at surgery in parathyroid hyperplasia.

Explanation: Ans is 'd' ie identifying hyperplasia of all four glands at surgery in parathyroid hyperplasia Parathyroid adenoma can be differentiated from hyperplasia only at the time of surgery. In case of adenoma only one gland is found to be enlarged the other three are normal or atrophic. In hyperplasia all four glands are diffusely enlarged. Some recent techniques such as 99mTcsestamibi scan are now able to localize and differentiate adenoma from hyperplasia, preoperatively.